Cytochrome oxidase contains which of the following?
1. Fe
2. Cu
3. Both of the above
4. None of the above

Correct answer: 3. Both of the above

Explanation: Each monomer of cytochrome oxidase contains one molecule of heme, and one atom each of iron and copper. Cytochrome oxidase is located in the mitochondrial membrane and it provides energy for cell by coupling electron transport through the cytochrome chain with the process of oxidative phosphorylation. It is the terminal oxidase in the respiratory oxidation system. As a terminal enzyme in the oxidative phosphorylation process cytochrome oxidase is essential in cellular metabolism. Severe copper deficiency result in decreased cytochrome oxidase activity. Ref: Handbook on Metals in Clinical and Analytical Chemistry edited by Hans Gottlob Seiler, page 342.